Fastest acting proton pump inhibitor is
1. Rabeprazole
2. Lansoprazole
3. Tenatoprazole
4. Esomeprazole

Correct answer: 1. Rabeprazole

Explanation: Rabeprazole is the fastest acting proton pump inhibitor.